A study was conducted on two different samples for comparing variation between DBP and Vitamin D. Diastolic blood pressure normal is 110 with standard deviation 11 and vitamin D levels normal 18 with standard deviation 3. Which of the sample has more variable?
1. DBP is more than Vitamin D.
2. Vitamin D is more than DBP.
3. Both DBP and Vitamin D will equal variability.
4. It can't be ascertained from information provided.

Correct answer: 2. Vitamin D is more than DBP.

Explanation: Ans. (b) Vitamin D is more than DBPRef: Parks Text book of Preventive and Social Medicine 24th Ed; Page No-886* Coefficient of variation (CV)=MeanSD x100* Standard Deviation (SD):# It is denoted by the Greek word sigma.# It gives us an idea of "spread" of dispersion.# Standard deviation =Variance * Coefficient of variation for DBP=11011 x100=10%* Coefficient of variation for vitamin D=183 x100=16%* So Coefficient of variation for DBP< Coefficient of variation for vitamin D